Acute liver failure is caused by A/E-
1. Hepatitis A
2. Hepatitis B
3. Hepatitis E
4. Hepatitis C

Correct answer: 4. Hepatitis C

Explanation: The imp part of type C hepatitis is the chronic illness. REF:ANATHANARAYAN AND PANIKER'S TEXTBOOK OF PATHOLOGY 8TH EDITION PAGE NO-548